Which of the following is the rate-limiting enzyme of bile acid synthesis?
1. microsomal 7-a hydroxylase
2. mitochondrial 7-a hydroxylase
3. microsomal 17-a hydroxylase
4. mitochondrial 17-a hydroxylase

Correct answer: 1. microsomal 7-a hydroxylase

Explanation: microsomal 7-a hydroxylaseis rate-limiting enzyme of bile acid synthesis The first intermediate in the synthesis of bile acids is 7a-hydroxycholesterol It is catalyzed by the enzyme 7a-hydroxylase, a microsomal CYP450 enzyme, which requires NADPH, oxygen, and vitamin C as co-factors.